Denominator in MMR-
1. 1000 live birth
2. 1000 women of reproductive age
3. Mid year population
4. Mid year women population

Correct answer: 1. 1000 live birth

Explanation: Ans. is 'a' i.e., 1000 live birthMaternal mortality ratio (MMR)* Maternal mortality ratio is defined as total number of maternal deaths i.e. deaths due to complications of child birth, pregnancy or within 42 days of delivery from 'puerperal causes* in the area during a given year Per 1000 or (100,000) live births in the same area during the same year.MMR =Total no. of female death due to complications of pregnancy, childbirth or with 42 days of delivery from puerperal causes in an area during a given year--------------------------------------------------------------Total no. of live birth in the same area & yearx 1000 (or 100,000)* Maternal death occuring after 42 days (7 weeks) of birth is not included in maternal mortality ratio.* It is called late maternal death -> Death of women from direct or indirect obstetric causes more than 42 days but less than 1 year after termination of pregnancy.Maternal mortality rate* It is the number of maternal death in a given period per 1000 (or 100,000) women of reproductive age during same period.Maternal mortality rate =Total no. of female death due to complication of pregnancy, childbirth or within 42 days of delivery------------------------------------------Total no. of women of reproductive agex 1000 (or 100,000)Therefore* Denominator in maternal mortality ratio -> 1000 live birth (or 100,000 live birth)* Denominator in maternal mortality rate 1000 (or 100,000) women of reproductive age.